True regarding mind theory is A/E
1. Id is reservoir of instincts & drives
2. Ego is excutive organ of id
3. Superego predominantly consciously offers approval & disapproval
4. All

Correct answer: 3. Superego predominantly consciously offers approval & disapproval

Explanation: C. i.e. Superego predominantly consciously offers approval & disapproval